Gynaecomastia is a side effect of all, EXCEPT :
1. Digitalis
2. Ketoconazole
3. Rifampicin
4. Spironolactone

Correct answer: 3. Rifampicin

Explanation: Ans. is 'c' Rifampicin Drugs causing GynecomastiaKetoconazole*Calcium channel blockers*Digitalis*Estrogens*Ethionamide*Griseofuloin*INHMethyldopa*Phenytoin*Reserpine*Spironolactone*Testosterone*